Maximum oogonia can be seen in ovaries at :
1. 5 th month of IUL
2. 7 th month of IUL
3. At birth
4. At puberty

Correct answer: 1. 5 th month of IUL

Explanation: Maximum number of oogonia are seen at 20 weeks - 6-7 million At birth number is 2 million At puberty - 3-5 lakhs Out of which 400-500 are destined to ovulate Ref: Datta textbook of Obstetrics -9e pg16.